Concentration of DNA is measured by:
1. Absorption at 260 nm
2. D-oxyribose estimation
3. Infrared examination
4. Ultrasound examination

Correct answer: 1. Absorption at 260 nm

Explanation: A i.e. Absorption at 260 nmConcentration (and quality) of nucleotides and ncleic acid (DNA/RNA) is measured in terms of "absorbance at 260 nmQ" with a Ultraviolet (UV) spectrophotometer.